Impulse is generated at fastest rate in
1. AV node
2. SA node
3. Bundle of His
4. Purkinje fibers

Correct answer: 2. SA node

Explanation: Some cardiac fibers have the capability of self-excitation, a process that can cause automatic rhythmical discharge and contraction. This capability is especially true of the fibers of the heart's specialized conducting system, including the fibers of the sinus node. For this reason, the sinus node ordinarily controls the rate of beat of the entire heartRef: Guyton and Hall textbook of medical physiology 13th edition. Page:123